Which of the following drug is not given in acute mania:
1. Lithium
2. Lamotrigine
3. Valproate
4. Olanzapine

Correct answer: 2. Lamotrigine

Explanation: Ans. B: Lamotrigine Lamotrigine is not recommended for acute mania. It is especially useful in rapidly cycling bipolar depression.